"Brain Natriuretic Peptide" is degraded by:
1. Neutral endopeptidas
2. Elastase
3. Collagenasee
4. Ompatrilat

Correct answer: 1. Neutral endopeptidas

Explanation: Neutral endopeptidase